3 year old child come in ER with Hv'o vomiting, loose watey motion for 3 days, on examination, child was drowsy, sunken eye. Hypothermia and skin pinch take time to revert back, diagnosis-
1. No dehydration
2. Mild dehydration
3. Some dehydration
4. Severe dehydration

Correct answer: 4. Severe dehydration

Explanation: Ans. is 'd' i.e., Severe dehydrationo A child with severe dehydration will have at least two of the following four signs : sensorium is abnormally sleepy or lethargic, sunken eyes, drinking poorly or not at all, and a very slow skin pinch.o A child with some signs of dehydration will have two of the following : restlessness or irritability, sunken eyes, drinking eagerly or slow skin pinch.o A child with either one or none of these signs is classified as having no signs of dehydration.